In Budd Chiari syndrome, the site of venous thrombosis is
1. Infrahepatic inferior vena cava
2. Infrarenal inferior vena cava
3. Hepatic veins
4. Portal veins

Correct answer: 3. Hepatic veins